A plastic surgeon is performing a minor procedure on the face of an 18-year-old woman. She has a seizure that is attributed to the local anesthetic agent. Convulsion following an overdose of local anesthesia is best treated by which of the following?
1. Droperidol
2. Hydroxyzine (Vistaril)
3. Diazepam (Valium)
4. Fentanyl ketamine

Correct answer: 3. Diazepam (Valium)

Explanation: Diazepam is a benzodiazepine derivative that seems to have a calming effect on part of the limbic system, thalamus, and hypothalamus. It should be injected slowly (<1 mg/min) into a larger vein to avoid phlebitis and local irritation.